The eye condition for which the World Bank assistance was provided to the National Programme for Control of Blindness (1994-2001) is:
1. Cataract
2. Refractive errors
3. Trachoma
4. Vitamin A deficiency

Correct answer: 1. Cataract

Explanation: A i.e. Cataract World bank assisted cataract blindness control project was launched in 1994 to reduce the cataract back log in 7 states with highest prevalence of cataract blindness. These states in descending order are - Uttar Pradesh (U.P.), Tamil Nadu, Madhya Pradesh (M.P.), Maharashtra, Andhra Pradesh (A.P.), Rajasthan, Orrisa There is evidence of reduction of prevalence in all states except U.P.